Most common muscle involved in Tropical pyomyositis
1. Biceps
2. Triceps
3. Quadriceps
4. Gluteus

Correct answer: 3. Quadriceps

Explanation: Tropical pyomyositis is caused by S.Aureus which mainly involves Quadriceps > Gluteus.